The nerve which is most frequently involved in herpes zoster ophthalmicus is:
1. Frontal nerve
2. Nasociliary nerve
3. Lacrimal nerve
4. Facial nerve

Correct answer: 1. Frontal nerve

Explanation: Ans. Frontal nerve